Which one of the following blood fractions is stored at - 40ºC
1. Cryoprecipitate
2. human albumin
3. Platelet concentrate
4. Packed red cells

Correct answer: 1. Cryoprecipitate

Explanation: Red Cells

42 days with the appropriate additives
2–6 ºC

Platelets

5 days
20–24 ºC

Cryoprecipitate

12 months
At –25 ºC or below